In a case of Hanging, neck ligature marks are example of
1. Contusion
2. Printed abrasion
3. Laceration
4. Bruise

Correct answer: 2. Printed abrasion

Explanation: Ligature mark is a type of pressure/imprinted/pattern abrasion.